Not a x-ray feature of rheumatoid arthritis
1. Subchondral cysts
2. Subchondral osteopenia
3. Subchondral swelling
4. Osteophytes

Correct answer: 4. Osteophytes